Hematoxylin bodies seen in:
1. SLE
2. PAN
3. DIC
4. Wegeners granulomatosis

Correct answer: 1. SLE

Explanation: In SLE, nuclei of damaged cells in various tissues react with antinuclear antibodies, lose their chromatin pattern, and become homogeneous, to produce so called lupus erythematosus (LE) bodies or hematoxylin bodies. Demonstration of LE cells in vitro was used as a test of SLE. Ref: Hahn B.H. (2012). Chapter 319. Systemic Lupus Erythematosus. In D.L. Longo, A.S. Fauci, D.L. Kasper, S.L. Hauser, J.L. Jameson, J. Loscalzo (Eds),Harrison's Principles of Internal Medicine, 18e.